The drug with definite risk of hemolysis in patients with G6PD deficiency is:
1. Cotrimoxazole
2. Chloroquine
3. Sulfasalazine
4. Quinine

Correct answer: 1. Cotrimoxazole

Explanation: All the choices have risk of clinical hemolysis in G6PD. Definite risk is seen with Cotrimoxazole only, Others have either possible or doubtful risk. Ref: Harrison 18th edition, Page 879.